True about acute ITP:
1. More common in adults.
2. Detection of specific anti platelet antibodies is a must for diagnosis
3. Viral infection predisposes to ITP
4. 80% cases transform to chronic

Correct answer: 3. Viral infection predisposes to ITP

Explanation: Discussing options one by one a. False ; The peak age is 1-4 yr, although the age ranges from early in infancy to the elderly b. False; Platelet antibody testing is seldom useful in acute ITP. c. True; A recent history of viral illness is described in 50-65% of cases of childhood ITP d. False; 20% of children (and 50% of adolescents) who present with acute ITP transform to chronic ITP. Idiopathic thrombocytopenic purpura -quantitative disorder of platelets caused by antibodies directed against platelet or megakaryocytic antigens -related to antibody-mediated immune destruction of platelets or their precursors. -The peripheral blood smear in ITP exhibits numerous large platelets, and the bone marrow shows acompensatory increase in megakaryocytes. Acute ITP exhibits: Non-palpable petechiae, which mostly occur in dependent regions Hemorrhagic bullae on mucous membranes Non papable purpura Gingival bleeding Signs of GI bleeding Menometrorrhagia, menorrhagia Retinal hemorrhages Evidence of intracranial hemorrhage Non-palpable spleen